True regarding mallet finger is which of the following-
1. Avulsion of tendon at the base of the middle phalanx
2. Avulsion of extensor tendon at the base of the distal phalanx
3. Fracture of distal phalanx
4. Fracture of the proximal phalanx

Correct answer: 2. Avulsion of extensor tendon at the base of the distal phalanx

Explanation: Ans. is 'b' i.e., Avulsion of extensor tendon at the base of the distal phalanx o Mallet finger is avulsion of extensor tendon from distal phalanx of a finger.Mallet finger (Baseball finger)o Sudden passive flexion of the distal interphalangeal joint (as by a ball striking the tip of the finger) may rupture the extensor tendon at the point of its insertion into the base of distal phalanxo Sometimes, a fragment of bone is avulsed from the phalanx.o Clinically, distal phalanx is in slight flexion and patient is unable to extend DIP joint fully.o Treatment is by immobilizing the DIP joint in hyperextension with the help of an aluminium splint (finger extension splint) or plaster cast.